Test for vitality testing is /are:
1. Measurement of crot surface temperature.
2. Dual wavelength spectrometry.
3. Transmitted light photo plathysmography.
4. All of the above.

Correct answer: 4. All of the above.

Explanation: Other than these Xe133 radioisotope is also used for vitality testing.